In a young boy, x-ray of the upper end of the tibia shows a lytic lesion. The least likely diagnosis is-
1. Giant cell tumor
2. Osteosarcoma
3. Solitary bone cyst
4. Tuberculosis

Correct answer: 1. Giant cell tumor

Explanation: Giant cell tumour occurs between 20-40 years (not in a young child)
Telangiectatic type of osteosarcoma, solitary bone cyst and tuberculosis can cause an osteolytic lesion in a child.